Secondary attack rate of chickenpox -
1. 70%
2. 90%
3. 65%
4. 80%

Correct answer: 2. 90%

Explanation: Ans. is 'b' i.e., 90 % Chicken poxo Causative agento Portal of entryo I. P.o Infectious periodo Secondary attack rate is higho Age group- varicella zoster virus (Herpes simplex type III)- Respiratory tract or conjunctiva- 10-21 days.- 2 days before and 5 days after the onset of rash.- 90%-5-9 Yrs.o C/Fs - has two stagesPre-eruptive stagefever, back pain, malaise, shiveringEruptive stageRash is symmetrical, mostly on flexor surface.Centripetal in distributionMainly On trunk, less common on arms and legPalms and soles are not usually affectedThere is rapid evolution of rashRash is plemorphic, that is, all stages of rash (Papule, vesicle and crusts) may be seen simultaneously.Disease is more severe in adults than in children.